Marie, a 51-year-old woman, is diagnosed with cholecystitis. Which diet, when selected by the client, indicates that the nurse’s teaching has been successful?
1. 4-6 small meals of low-carbohydrate foods daily
2. High-fat, high-carbohydrate meals
3. Low-fat, high-carbohydrate meals
4. High-fat, low protein meals

Correct answer: 3. Low-fat, high-carbohydrate meals

Explanation: For the client with cholecystitis, fat intake should be reduced. 
The calories from fat should be substituted with carbohydrates. 
Reducing carbohydrate intake would be contraindicated. Any diet high in fat may lead to another attack of cholecystitis.